Palatal edema is significant for:-
1. Alpha heavy chain diseas
2. Gamma heavy chain disease
3. Mu heavy chain diseas
4. Beta heavy chain disease

Correct answer: 2. Gamma heavy chain disease

Explanation: Palatal edema is seen in patient having involvement of oropharyngeal lymphoid tissue called Waldeyer ring. Palatal edema is a most distinctive symptom of franklin diseases (gamma heavy chain disease) Franklin disease: very rare B cell lymph plasma cell proliferated disorder which may be associated with autoimmune disease like RA. Subtype of gama heavy chain involve is gama 1. This disease can be manage with the help of anticancer drug Rituximab (Anti CD 20 Antibody) Most common Heavy chain disease is Alpha Heavy chain disease.